A 28 year old woman underwent a fertility sparing surgery for a 6x6 cm granulosa cell ovarian tumour. Which one of the following will you monitor for detection of recurrence?
1. Ca 19-9
2. LDH
3. Inhibin B
4. Placental Alkaline phosphatase (PLAP)

Correct answer: 3. Inhibin B

Explanation: GRANULOSA CELL TUMORS (NON EPITHELIAL-SEX CORD STROMAL TUMORS) Arise from granulosa cells Estrogen secreting functional tumors Presentation: abnormal uterine bleeding, precocious puberty Unilateral Call Exner bodies May cause endometrial hyperplasia and endometrial cancer (estrogen excess) Treatment: surgery: Unilateral salpingo-oophorectomy for fertility sparing Tumor markers: INHIBIN A, INHIBIN B, CA 125, AMH Most commonly raised and most commonly used: INHIBIN B Most specific: AMH